Which of the following do not generate ATP?
1. Citric Acid cycle
2. Kreb's cycle
3. Glycolysis
4. HMP shunt

Correct answer: 4. HMP shunt

Explanation: Ans. is 'd' i.e., HMP shunt* Citric acid cycle or Kreb's cycle generates 10 ATPs for every acetyl Co A that enters into citric acid cycle.* Aerobic glycolysis generates 7 ATPS for every molecule of glucose* Anaerobic glycolysis generates 2 ATPs for every molecule of glucose utilised* HMP shunt is a pathway which neither generates ATP nor utilises ATP.